Injury to the Ulnar nerve at the wrist causes paralysis of-
1. Apposition of the thumb
2. Abduction of the carpo-metacarpal joint of the thumb
3. Adduction of the thumb
4. Flexion of the MCP joint of the middle finger

Correct answer: 3. Adduction of the thumb

Explanation: Adduction of thumb is lost due to paralysis of adductor pollicis.